The most common nerve involved in Volkamann's ischaemic contracture of forearm includes
1. Radial
2. Ulnar
3. Median
4. Posterior interosseous

Correct answer: 3. Median

Explanation: C i.e. Median nerve Volkman's ischemic contracture most commonly involve flexor digitorum profundus muscleQ & median nerveQ.